Nagler's reaction is shown by ?
1. Clostridium tetani
2. Clostridium welchii
3. Mycobacterium tuberculosis
4. Mycobacterium leprae

Correct answer: 2. Clostridium welchii